Pseudomyxoma peritonei- causes:a) Mucocele of appendixb) Mucinous ovarian tumorc) Ovarian dermoidd) Adenocarcinoma of colone) Carcinoma ovary
1. abcd
2. bcde
3. acde
4. abde

Correct answer: 4. abde

Explanation: Pseudomyxoma is a disease characterized by copious production of mucinous ascites that, over time, fills the peritoneal cavity. "In addition to the association of PMP (Pseudomyxoma peritonei) with appendiceal and ovarian tumors, there are case reports suggesting occasional origin from other intra-abdominal organs such as the colon and rectum, stomach, gallbladder and bile ducts, small intestine and urinary bladder, lung, breast, fallopian tube, and pancreas. With the exception of colorectal mucinous adenocarcinoma, which often simulates PMP, these are rare and only account for less than 5% of total cases."